Definition of clinical depression includes?
1. Depressed mood
2. Slowed thinking
3. Psychomotor retardation
4. All of the above

Correct answer: 4. All of the above

Explanation: Ans. is 'd' i.e., All of the abo\e* The classical triad of depression is depressed mood, psychomotor retardation, and slowed-down thinking.Diagnostic criteria for major depression* 5 or more of following symptoms should be present most of the day for at least 2 weeks: -1) Depressed mood2) Loss of interest or pleasure in all activities.3) Decrease/increase appetite or loss/gain of weight.4) Insomnia or hypersomnia (Increased or decreased sleep).5) Psychomotor retardation or agitation (decreased or increased psychomotor activity).6) Fatigue or loss of energy (weakness or lethargy).7) Feelings of worthlessness or excessive guilt.8) Diminished concentration9) Recurrent thoughts of death or recurrent suicidal ideation or suicidal attempt.* At least one of symptoms should be either1) Depressed mood or 2) Loss of interest or pleasure - These two (1 & 2) are essential criteria. Therefore 1 essential criterion and 4 other criteria (total 5) should be present.